1 curie is equivalent to:
1. 1.7 x 1010 disintegration/second
2. 2.7 x 1010 disintegration/second
3. 3.7 x 1010 disintegration/second
4. 4.7 x 1010 disintegration/second

Correct answer: 3. 3.7 x 1010 disintegration/second

Explanation: Ans. (C) 3.7 x 1010 disintegration/secondRadiology by S. Bhadury 2ndl197:Writes:1 Bq= 1 disintegration/second1 Curie (Ci)= 3.7 x 10 (10) disintegration/second1 Ci is equal to 37 gigabecquerel1 gray (Gy) = 100 rads 10 mGy = 1 rad 1 mGy = 100 mrad Gray (Gy) is the SI unit of absorbed dose.One gray is equal to an absorbed dose of 1 foule/kilogram (100 rads).